In all of the folllowing indications of Cesarean sections a Lower segment caesarean section is preferred over classical, except:
1. Fetal distress in 1st stage of labor
2. Severe degree of contracted pelvis
3. Ca Cervix
4. Previous two caesarean sections

Correct answer: 3. Ca Cervix

Explanation: Indications for classical C.S.: Bladder fibrosis(M.C. indication) Lower segment tumors like fibroid, Ca cervix Placenta previa with anterior implantation Post mortem C.S Lower segment caesarean section (LSCS) is preferred over classical incision as it is easier to repair,heals better and had lesser bleeding. Also, A ca cervix will have a hard cervix, so we do a ceasarean even before the lower segment starts to form... like 34-36 weeks since the effacement of the cervix with a cancer will make it bleed a lot. And after a cesarean for ca cervix, the uterus is closed in one layer and then we quickly do a hysterectomy is most cases of ca cervix since there is progressive cancer of the cervix and hence there is no scope of saving the uterus any more !